Normal healthy child developing psoriatic lesions after an episode of streptococcal infection. Which type of lesion is this?
1. Plaque psoriasis
2. Inverse psoriasis
3. Pustular psoriasis
4. Guttate psoriasis

Correct answer: 4. Guttate psoriasis